Plasma retinol value which is considered as marginal in children is
1. 0.25 to 0.35 mmol/L
2. 0.35 to 0.7 mmol/L
3. 0.7 to 1.05 mmol/L
4. 1.05 to 1.45 mmol/L

Correct answer: 3. 0.7 to 1.05 mmol/L

Explanation: The plasma retinol value of 0.7 to 1.05 mmol/L is considered to be marginal. Values more than 1.05 mmol/L are considered to be adequate for children. Values between 0.35 to 0.7 mmol/L are considered to be deficient. If the value is less than 0.35 mmol/L, it is considered to be very deficient. Reference: GHAI Essential pediatrics, 8th edition